All the following muscles have dual nerve supply except
1. Subscapularis
2. Pectoralis major
3. Pronator teres
4. Flexor digitorum profundus

Correct answer: 3. Pronator teres

Explanation: 1) Flexor digitorum profundus is supplied by - (i) Medial half by ulnar nerve and Lateral half by anterior interosseous nerve(C8 , T1) ( branch of median nerve ). 2)Subscapularis is supplied by - Upper and lower subscapular nerves ( C5 , C6 ). 3) pectoralis major is supplied by - Medial and lateral pectoral nerves. 4)pronator teres is supplied by - median nerve only. Ref : B D Chaurasia's Human Anatomy , seventh edition , volume 1 , pg. no., 44, 70, 110, 108.